Stomach wash is contraindicated in all except
1. Carbolic acid
2. Hydrochloric acid
3. Sulphuric acid
4. Nitric acid

Correct answer: 1. Carbolic acid

Explanation: Corrosive poison: In the case of corrosive acid poisoning stomach wash is contraindicated except phenol. Aspiration of contents can be done by carefully introducing a soft flexible rubber tube. This may prevent perforation of stomach due to retaining the acid in the stomach. In case of concentrated corrosive alkali, no attempt should be made to introduce any tube because of the risk of esophageal perfoation. Ref: FORENSIC MEDICINE AND TOXICOLOGY Dr PC IGNATIUS THIRD EDITION PAGE 401